Most common benign tumor of larynx in a child between 2-5 years is
1. Chondroma
2. Infantile hemangioma
3. Scleroma
4. Juvenile laryngeal papilloma

Correct answer: 4. Juvenile laryngeal papilloma

Explanation: SQUAMOUS PAPILLOMAS They can be divided into (i) juvenile and (ii) adult-onset types. 1. JUVENILE PAPILLOMATOSIS (SYN. RESPIRATORY PAPILLOMATOSIS) Juvenile papillomatosis is the most common benign neoplasm of the larynx in children. It is viral in origin and is caused by human papilloma DNA virus type 6 and 11. It is presumed that affected children got the disease at birth from their mothers who had vaginal human papilloma virus disease. Papillomas mostly affect supraglottic and glottic regions of larynx but can also involve subglottis, trachea and bronchi. Clinical features:- Patient, often a child, between the age of 3 and 5 years presents with hoarseness or aphonia with respiratory difficulty or even stridor. Diagnosis:- Diagnosis is made by flexible fibreoptic laryngoscopy and later confirmed by direct laryngoscopy and biopsy. Papillomas are known for recurrence but rarely undergo malignant change. Ref:- Dhingra; pg num:-305